Epstein Barr virus is associated with all EXCEPT
1. Hodgkin's disease
2. Burkitt's lymphoma
3. Nasopharyngeal carcinoma
4. Laryngeal carcinoma

Correct answer: 4. Laryngeal carcinoma

Explanation: (Laryngeal carcinoma): (1467-69 - H 18th edition)Epstein Barr virus is associated with* Nasopharyngeal carcinoma* Burkitt's lymphoma* Hodgkin's disease* B.cell lymphoma* Oral hairy leukoplakia* Chronic fatigue syndrome